While giving injection minimum distance from biopsy site should be:
1. Over the margin of the lesion.
2. Above the lesion.
3. 1cm away from the margin of the lesion.
4. Distance is not very significant factor

Correct answer: 3. 1cm away from the margin of the lesion.